All of following are seen in hypospadias except ?
1. Ectopia vesicae
2. Hooded prepuce
3. Chordee
4. Infertility

Correct answer: 1. Ectopia vesicae

Explanation: Ans. is 'a' i.e., Ectopia vesicae Ans. is 'a' i.e., Ectopia vesicae Chordee (ventral curvature of the penis) is often associated with hypospadias, especially more severe forms.Failure of fusion of the urethral folds in hypospadias impedes this process, and a dorsal hooded prepuce results. A history of infertility and treatment should also be documented; in-vitro fertilization (IVF) has been associated with a higher incidence of hypospadias.